Whipple's operation is done for treatment of:
1. Hepatocellular carcinoma
2. Carcinoma of pancreatic head
3. Small intestinal tumors
4. Acute pancreatitis

Correct answer: 2. Carcinoma of pancreatic head

Explanation: Ans. b (Carcinoma of pancreatic head). (Ref. Bailey and Love 25th/pg. 1150)Pancreato-duodenectomy/ Whipple's operation/ Triple-ostomy# It is an extensive operation used as an attempt at a cure for pancreatic carcinoma or cholangiocarcinoma, when lesions are extrahepatic and periampullary, and occasionally, for chronic pancreatitis.# It involves resection of most of the extrahepatic biliary system, the whole of the duodenum, the distal stomach, and the head of the pancreas.# Anastomoses are then formed between the remaining structures; for example, the tail of the pancreas to the jejunal stump and the bile duct to the side of the jejunum.# Whipple's operation is only appropriate in a very select group of patients with pancreatic cancer; factors include fitness, age and absence of metastases.# Careful selection leaves about 10% of patients in whom surgery may improve prognosis, of which at best only 20% may survive to five years.# This operation is also used to treat grade V pancreatic injuries i.e., disrupted pancreaticobiliary duodenal complex